Initial treatment of dysfunctional uterine bleeding in a young female is :
1. Oral pills
2. Danazol
3. Hysterectomy
4. Androgens

Correct answer: 1. Oral pills

Explanation: Oral pills